All are true about white infarcts except?
1. Edema is present
2. Occurs in organs with end arterial supply
3. Well defined margins
4. Coagulative necrosis

Correct answer: 1. Edema is present

Explanation: Ans. (a) Edema is presentRef: Robbitt's pathology 9th ed. /130White infarctRed infarct* Occurs in solid organs with end arterial circulation* Occurs in solid organs* Have well defined margins* Edema is absent* Occurs in organs with dual blood supply* Venous occlusion leads to red infarct, like in ovarian torsion* III-defined haemorrhagic margins* Edematous tissuesAll infarcts are wedge shaped and have features of ischemic coagulative necrosis.